A 14-year-old boy falls on his outstretched hand and has a fracture of the scaphoid bone. The fracture is most likely accompanied by a rupture of which of the following arteries?,
1. Brachial artery
2. Ulnar artery
3. Deep palmar arterial arch
4. Radial artery

Correct answer: 4. Radial artery

Explanation: The scaphoid bone forms the floor of the anatomic snuffbox, through which the radial artery passes to enter the palm. The radial artery divides into the princeps pollicis artery and the deep palmar arch.